Mutation in GNAS 1 gene is associated with
1. Fibrous dysplasia
2. Ossifying fibroma
3. Focal cementoosseous dysplasia
4. Periapical cementoosseous dysplasia

Correct answer: 1. Fibrous dysplasia